Nicoladoni Branham's sign is seen in:
1. Buerger' disease
2. arteriovenous fistula
3. Raynaud's disease
4. Peripheral aneurysm

Correct answer: 2. arteriovenous fistula

Explanation: Ans. B: Arteriovenous fistula Nicoladoni sign/Branham sign/Nicoladoni-Israel-Branham sign, is the slowing of the heart rate in response to (manual) compression of an arteriovenous fistula. Arteriovenous fistula may be either congenital or acquired. The structural effect of arterial blood flow on the veins is characteristic; they become dilated, tortuous and thick walled (arterialized) The physiological effect is that it can increase cardiac output, if big enough. Auscultation reveals a machinery murmur.